Countercurrent mechanism in the kidney is responsible for
1. Absorption of glucose
2. Maintenance of blood flow
3. Osmotic gradient in medulla
4. Secretion of uric acid

Correct answer: 3. Osmotic gradient in medulla

Explanation: Ans. (c) Osmotic gradient in medulla(Ref: Ganong, 25th ed/p.685)Loop of Henle plays an important role in concentration of urine by creating medullary hyperosmolarity through countercurrent mechanism